Toxic dose of lidocaine causes
1. Increase salivation
2. Mydriasis and diarrhea
3. Respiratory paralysis
4. Seizures

Correct answer: 4. Seizures

Explanation: Lignocaine reaching bloodstream causes severe CNS stimulation followed by coma.Ref:KDT 6/e p356.